Bleeding caused in a extraction socket due to wound sepsis after few days is called as
1. Primary hemorrhage
2. Reactionary hemorrhage
3. Secondary hemorrhage
4. Systemic hemorrhage

Correct answer: 3. Secondary hemorrhage